As per RCH II vitamin-A dosage at 9th month of age is?
1. 50,000 units
2. 1 lakh units
3. 1.5 lakh units
4. 2 lakh units

Correct answer: 2. 1 lakh units

Explanation: ANSWER: (B) 1 lakh unitsREF: Ministry of health and family welfare, India ( style="color: rgba(0, 0, 0, 1); font-family: Times New Roman, Times, serif">6342515027filel4.pdf)Vitamin A supplementation strategyInfancyHealth and nutrition education is being taken up to encourage colostrums feeding, exclusive breastfeeding for the first six months and the introduction of complementary feeding thereafter.1,00,000 IU dose of Vitamin A is being given at nine monthsChildhoodHealth education efforts to ensure adequate intake of Vitamin A rich food throughout childhoodEarly detection and prompt treatment of infectionsVitamin A dose of 2,00,000 I.U at 18, 24, 30 and 36 months of age Sick childrenAll children with xerophthalmia to be treated at health facilitiesAll children suffering from measles to be given one dose of Vitamin A if they have not received it in the previous one monthAll cases of severe malnutrition to be given one additional dose of Vitamin A.